Diagnosis of TB acc to DOTS?
1. 1 out of 2 samples positive
2. 2 out of 3 samples positive
3. 3 out of 3 samples positive
4. None

Correct answer: 1. 1 out of 2 samples positive

Explanation: 1 or 2 positives put of 2 sputum smear is considered as smear positive TB Ref: PARK'S TEXTBOOK OF PREVENTIVE AND SOCIAL MEDICINE 23rd edition pg 429